The right suprarenal vein drains into the -
1. Inferior vena cava
2. Right renal vein
3. Right Gonadal vein
4. Left Renal vein

Correct answer: 1. Inferior vena cava

Explanation: Veins draining into inferior vena cava
-        Common iliac veins
-        Renal veins
-        Right gonadal vein
-        Right suprarenal vein
-        Inferior phrenic veins
-        Hepatic veins
-        3rd & 4th lumbar veins